Landmark for superior laryngeal nerve block
1. Angle of mandible
2. C7 transverse process
3. Cricoid cartilage
4. Great cornua hyoid bone

Correct answer: 4. Great cornua hyoid bone

Explanation: - Larynx is supplied by vagus- Upper larynx above vocal cord - supplied by internal branch of superior laryngeal nerve- Below vocal cord - recurrent laryngeal nerve- Feel the hyoid and try to palpate greater cornua of hyoid bone and take the needle on the side of the neck, taking the needle lateral to the greater cornua of hyoid bone, and hit in the hyoid bone, then we pass our needle just below the hyoid bone, we either give local anesthetic there, or we take needle few cms inside and pierce the membrane b/w hyoid bone and thyroid and give the drug or at superior cornua of thyroid cartilage instead of caudally we give cranially 2ml of 2% lignocaine Anesthetize lower part of vocal cord - 4ml of 2% lignocaine Injecting local anesthetic solution bilaterally, in the vicinity of the superior laryngeal nerves where they lie between the greater cornua of the hyoid bone and the superior cornua of the thyroid cartilage as they traverse the thyrohyoid membrane to the submucosa of the piriform sinus, blocks the internal branch of the superior laryngeal nerve. The overlying skin is cleaned with alcohol or povidone-iodine (Betadine). The cornua of the hyoid bone or the thyroid cartilage can be used as landmark